A 40-year-old woman presents with an 8-month history of severe headaches, weakness, and dizziness. Blood pressure is 180/110 mm Hg. Physical examination shows diminished tendon reflexes. An abdominal CT scan reveals a 4-cm mass in the right adrenal gland. The results of laboratory studies include serum potassium of 2.3 mEq/L, serum sodium of 155 mEq/L, plasma cortisol of 25 mg/dL (8 AM) and 20 mg/dL (4 PM), and low plasma renin. These clinical and laboratory findings are consistent with an adrenal tumor that secretes which of the following hormones?
1. Aldosterone
2. Cortisol
3. Epinephrine
4. Renin

Correct answer: 1. Aldosterone

Explanation: This patient has Conn syndrome, an endocrine disorder most commonly caused by an adrenal cortical adenoma. Aldosterone secreted by the adrenal cortical tumor causes hypertension, hypernatremia, and hypokalemia. Epinephrine, renin, and testosterone (choices C, D, and E) are not produced by adrenal cortical tumors. Cortisol (choice B) may be produced by adrenal cortical tumors but does not significantly alter electrolyte homeostasis.Diagnosis: Conn syndrome, hyperaldosteronism